ATP is generated in ETC by ?
1. Na' ATPase
2. Cl- ATPase
3. FoF, ATPase
4. ADP Kinase

Correct answer: 3. FoF, ATPase

Explanation: Ans. is `c' i.e., FoFi ATPase